Massive splenomegaly with pancytopenia -
1. CLL
2. Pure red cell aplasia
3. CML
4. Myelofibrosis

Correct answer: 4. Myelofibrosis

Explanation: Ans. is 'd' i.e., Myelofibrosiso Massive splenomegaly is referred to as extension of spleen greater than 8 cm below the left costal margin or weight of spleen more than 1 Kg.o Causes of massive Splenomegaly are - CML Polycythemia vera Autoimmune hemolytic anemia Lymphomas Gaucher's disease Diffuse splenic hemangiomatosis Hairy cell leukemia CLL Myelofibrosis Sarcoidosiso Amongst these conditions pancytopenia is seen in i.e., massive splenomegaly with pancytopenia : - o Hairy cell leukemia Myelofibrosis Gaucher's disease